Compared to cow's milk, human milk has more-
1. Fat
2. Protein
3. Lactose
4. Calcium

Correct answer: 3. Lactose

Explanation: Ans. is 'c' i.e., LactoseNutritive value of milks compared (value per 100 grams) BuffaloCowGoatHumanFat(g)6[?]54[?]14[?]53[?]4Protein(g)4-33[?]23[?]31[?]1Lactose(g)51444[?]67[?]4Calcium(mg)21012017028Iron(mg)0[?]20[?]20[?]3 Vitamin C(mg)1213Minerals(g)0[?]80[?]80[?]80[?]1Water(g)81[?]08786[?]888Energy(kcal)117677265